TPN is initiated in a 44-year-old woman with Crohn's disease. In parenteral alimentation, carbohydrates should be provided in an optimal ratio of which of the following?
1. 1 kcal/g nitrogen
2. 5 kcal/g nitrogen
3. 10 kcal/g nitrogen
4. 100 kcal/g nitrogen

Correct answer: 4. 100 kcal/g nitrogen

Explanation: The baseline protein requirements are calculated as 1 g/kg/d. Following stress, there is an increased protein requirement, and protein intake should be 1.5 g/kg/d after surgery, 2 g/kg/d after polytrauma, and after sepsis. Glucose and amino acids must be infused simultaneously to appropriately utilize nitrogen. The ideal ratio is 100 nonprotein kcal/g of nitrogen. In starvation, the nonprotein calorie- to-nitrogen ratio of 150 kcal/g is adequate.